Patient is on Cisapride for gastroesophageal reflux develops upper respiratory tract infection, and physician prescribes erythromycin. What pharmalogical interaction would be expected -
1. Dereased level of erythromycin and exacerbation of URTI
2. Decreased effect of cisapride due to enzyme inductor of erythromycin
3. Fatal ventricular arrhythmia
4. Hemorrhagic cystitis

Correct answer: 3. Fatal ventricular arrhythmia

Explanation: Ans. is 'c' i.e., Fatal ventricular arrythmia